L- arginine test is used for testing reserve of?
1. Prolactin
2. Cosyntropin test
3. Metyrapone test
4. Growth hormone

Correct answer: 4. Growth hormone

Explanation: Tests used for testing reserves of hormones GH Insulin tolerance test GHRH test L-arginine test L-dopa test Prolactin TRH stimulation test Cosyntropin test ACTH effect on plasma cortisol Metyrapone test ACTH effect on plasma cortisol